Management of kerosene oil poisoning includes all, except:
1. Gastric lavage is done
2. Bronchodilators are given
3. Oxygen is given
4. Corticosteroids are not beneficial

Correct answer: 1. Gastric lavage is done

Explanation: Ans. Gastric lavage is done